A pregnant lady presented with painless bleeding in the 3rd trimester. Most common cause will be
1. Placenta previa
2. Abruptio placentae
3. Vesicular mole
4. none

Correct answer: 1. Placenta previa

Explanation: Ans a Ref: Sheila balakrishna obs, page 157Clinical features of placenta previaSymptomsClassical presentation of painless antepartum haemorrhage. Recurrent initial bleeding is unusually not severeSignsPallor proportionate to amount of bleedingSize of the uterus correspond to period of amenorrhoeaUterus soft, non tenderMalpresentations and floating headFHS heard.